Features of seronegative spondyloarthropathy include all of the following, Except:
1. Strong association with HLA B27
2. Negative Rheumatoid Factor
3. Symmetrical Polyarthritis
4. Enthesitis

Correct answer: 3. Symmetrical Polyarthritis

Explanation: Answer is C (Symmetrical Polyarthritis): Seronegative spondyloarthropathies are usually associated with Asymmetrical Oligoahritsis and not symmetrical polyarthritis. The seronegative spondyloarthritis have the following in common: Negative RF Strong association with HLA-B27 antigen Oligoarthritis (asymmetrical) Enthesitis (inflammation at sites of insertion of fascia, ligament or tendon to bone) Inflammatory arthritis (axial and sacroiliac joints) Extra-articular features (eyes, skin, genitourinary tract) Familial predisposition